In the management of leprosy, Lepromin test is most useful for -
1. Herd immunity
2. Prognosis
3. Treatment
4. Epidemiological investigations

Correct answer: 2. Prognosis

Explanation: The lepromin test has great value in prognosis of leprosy. Lepromin negative individuals are at higher risk of developing progressive multibacillary leprosy,but those who are lepromin positive can either escape the clinical disease or develop paucibacillary disease. Reference : Park's Textbook of preventive and social medicine, 24th edition.Pg no. 338